Which of the following factors increases the resistance of the airways?
1. Increasing lung volume above FRC
2. Increased sympathetic stimulation of airway smooth muscle
3. Going to high altitude
4. Inhaling cigarette smoke

Correct answer: 4. Inhaling cigarette smoke

Explanation: Inhalation of cigarette smoke causes reflex constriction of airway smooth muscle as a result of stimulation of irritant receptors in the airway wall. The other choices are incorrect: Both increasing lung volume above FRC and sympathetic stimulation of airway smooth muscle reduce airway resistance. Going to high altitude does the same because the density of the air is reduced. The density is also decreased when nitrogen is replaced by helium in the inspired gas.